Following is false about the hormonal changes in pregnancy -
1. Level of progesterone is more in third trimester compared to first trimester
2. Level of hCG is more in third trimester compared to first trimester
3. Level of estriol is less in first trimester compared to third trimester
4. Level of human placental lactogen is less in the first trimester compared to third trimester

Correct answer: 2. Level of hCG is more in third trimester compared to first trimester

Explanation: Ans is 'b' i.e., Level of hCG is more in third trimester o hCG level is maximum at the end of 1 st trimester (9-12 weeks). After that it starts decreasing.hCG levels in weeks from the last normal menstrual period :3 weeks LMP5-50mlU/ml4 weeks LMP5-426mlU/ml5 weeks LMP18-7,340mlU/ml6 weeks LMP1,080 -56,500 mlU/ml7-8 weeks LMP7,650-229,000 mlU/ml9-12 weeks LMP25,700-288,000 mlU/ml13-16 weeks LMP13,300-254,000 mlU/ml17-24 weeks LMP4,060-165,400 mlU/ml25-40 weeks LMP3,640 -117,000 mlU/mlo Estrogen, progesterone and human placental lactogen gradually increase from 1st trimester to third trimester.